Ptosis with weakness of orbicularis- oculi is an early feature of-
1. Fisher syndrome
2. Myasthenia gravis
3. Eaten lambert syndrome
4. Thyrotoxicosis

Correct answer: 2. Myasthenia gravis

Explanation: Myasthenia gravis is a major cause of ptosis & diplopia. The distribution of muscle weakness has a characteristic pattern. The cranial muscles particularly the lids and extraocular muscles are often involved early in the course of MG, and diplopia and ptosis are common initial complaints.